Best diagnostic test for Best disease is:
1. Dark adaptation
2. ERG
3. EOG
4. Gonioscopy

Correct answer: 3. EOG

Explanation: Ans. EOG